A 25 yr old man came to emergency department after RTA. On CXR, multiple ribs fractures were visible. On physical examination, blood pressure was 80/60 mmHg and heart rate 150/min. Patient was restless, and tachypneic with jugular veins distended. On auscultation, air entry equal on both sides, heart sounds very soft or inaudible. What is the immediate step of management?
1. Needle insertion in 5th ICS
2. Echo guided Pericardiocentesis
3. Intercostal tube drainage on both sides
4. IV fluids for Hypotension

Correct answer: 2. Echo guided Pericardiocentesis

Explanation: The above clinical presentation is suggestive of Cardiac Tamponade. The presence of Beck's triad (Hypotension ,Soft or absent heart sounds and Jugular venous distention) favours the diagnosis of Cardiac Tamponade TOC for Cardiac Tamponade: - ECHO guided Pericardiocentesis Tension pneumothorax is ruled out as there isequal air entry on both sides Cardiac Tamponade 1. Exaggerated septal deviation ++2. Pulsus Paradoxus: SBP ||, Hence an example of obstructive shock3. BECK'S TRIAD: - MUFFLED S1S2 HYPOTENSION Congested neck veins: Non pulsatile | JVP 4. Pulsus Paradoxus + Electrical Alternans = Cardiac TamponadeIf electrical Alternans is given alone in a MCQ, answer as Pericardial Effusion5. Kussmaul sign absent6. Electrical alternans present7. Money bag appearance+8. TOC: - Echo guided Pericardiocentesis (Xiphisternal approach)